Speed of rabies virus in axon is?
1. 1 mm per hour
2. 3 mm per hour
3. 5 mm per hour
4. 7 mm per hour

Correct answer: 2. 3 mm per hour

Explanation: The movement of virus in the axon is passive at a speed of about 3mm per hour. REF:ANANTHANARAYAN AND PANIKER'S TEXTBOOK OF MICROBIOLOGY 9TH EDITION PAGE NO-532